First antibody to appear in intrauterine life
1. IgM
2. IgA
3. IgD
4. IgE

Correct answer: 1. IgM

Explanation: Ans. (a) IgM